A 13-year-old boy present with acute onset right scrotal pain. The pain is not relieved on the elevation of the scrotum and he has no fever or dysuria. The testis is enlarged and tender. His routine urinary examination is normal. There is no history of trauma. Which of the following is the most appropriate management -
1. Immediate exploration
2. Antibiotics
3. Psychiatric evaluation
4. Antibiotics and scrotal elevation

Correct answer: 1. Immediate exploration

Explanation: This is a case of torsion of the testis.
Torsion of the testis is a surgical emergency and needs immediate exploration if it cannot be relieved by manipulation.